Most common tumour of heart is:
1. Myxoma
2. Secondaries
3. Papillary fibroelastoma
4. Rhabdomyomas

Correct answer: 2. Secondaries

Explanation: Ans: B i.e. SecondariesTumours of heartMyxoma are the most common primary tumour of the heart in adultsPrimary tumours of the heart are rare; in contrast, metastatic tumours to the heart occurs in about 5% of persons dying of cancerPapillary fibroelastoma are curious, usually incidental, sea anemone like lesions, most often identified at autopsyRhabdomyomas are the most common frequent primary tumour of the heart in infants and children and are frequently discovered in the first years of life